"River blindness" is caused by:
1. Onchocera-Volvulus
2. Schistoma haematobium
3. Fasciola hepatica
4. Opisthorchis-viverrini

Correct answer: 1. Onchocera-Volvulus

Explanation: (onchocera - volvulus) Ref: 1327-HI7th)ONCHOCERCIASIS: (River blindness) is caused by the filarial nematode O valvulus* Pruritis and rash are the most frequent manifestations of onchocerciasis* Visual impairment is the most serious complication of onchocerciasis. The most common early finding is conjunctivitis with photophobia "Snow flake" opacies is frequent in younger patients.* Enlarged nodes may hand down in response to gravity ^hanging grom ") sometimes predisposing to inguinal and femoral hernias* Mazzotti test is a provocative technique* IVERMECTIN is the treatment of choice for onchocerciasis